First polar body is extruded at
1. Menstruation
2. Ovulation
3. Fertilization
4. Menopause

Correct answer: 2. Ovulation

Explanation: Oogenesis is formation of ovum i.e. female gamete. First polar body is released after LH surge (i.e. at or before ovulation) LH surge occurs 36 hrs before ovulation. LH peak occurs 12 hrs before ovulation. (first polar body released )